Pseudomonas exotoxin inhibits protein synthesis by inhibiting ?
1. RNA polymerase
2. EF-2
3. Transpeptidase
4. Reverse transcriptase

Correct answer: 2. EF-2

Explanation: Ans. is 'b' i.e., EF-2 Exotoxin 'A' of P. aeruginosa inhibits protein synthesis through interference with adenosine diphosphate ribosylation of elongation factor - 2. Remember Bacterial toxins inhibiting protein synthesis : Exotoxin A of P aeruginosa Shiga toxin (Shigella) Diphtheria toxin Shiga like toxin or verocytotoxin of EHEC.